False about alcohol in disinfection is-
1. Ethanol is used
2. Isopropyl alcohol is used
3. Has sporicidal activity
4. Has bactericidal activity

Correct answer: 3. Has sporicidal activity